Conventional contraception is:
1. OCP
2. Surgical sterilization
3. Condoms
4. IUCD

Correct answer: 3. Condoms

Explanation: Ans. C: Condoms Barrier methods of contraception involve the use of device that prevents the passage of sperm through canal. Due to many reasons, use of condom is the most popular conventional contraceptive device worldwide. These are cheaper and relatively simple to use, but when used alone, the pregnancy rate is relatively high.